Stearic acid is added in impression compound for
1. Increased Plasticity Of Material
2. Increased Flow Of Material
3. Decreased Flow Of Material
4. Decreased Plasticity Of Material

Correct answer: 1. Increased Plasticity Of Material